In a suspected of ovarian cancer, imaging work-up is required for?
1. Characterization of the lesion
2. Staging
3. Assess resectability
4. All of the above

Correct answer: 4. All of the above

Explanation: The roles of diagnostic imaging have been to characterize the ovarian mass, determine the extent of preoperative disease and predict tumor resectability. Ref: National Guidelines (U.S.) (Staging and follow up of ovarian cancer).